N K cells activity is enahnced by -
1. IL-1
2. TNF
3. IL-2
4. TGP-b

Correct answer: 3. IL-2

Explanation: IL-2 promote growth and differentiation of T & B cells , cytotoxicity of T & NK cells Reff: Ananthanarayan & Panikers textbook of microbiology 9th edition pg: 154 table 15.3